Which of the following is commonly involved in multiple myeloma:
1. Clavicle
2. Vertebrae
3. Pelvis
4. Lungs

Correct answer: 2. Vertebrae